Prophylactic iron and folic acid content according to RCH program during pregnancy:
1. 500mg iron + 100 meg folic acid
2. 100mg iron + 500mcg folic acid
3. 100 mg iron + 100 meg folic acid
4. 20 mg iron +100 meg folic acid

Correct answer: 2. 100mg iron + 500mcg folic acid

Explanation: Ans. (b) 100mg iron + 500mcg folic acidRef: K. Park 23rded. /527* Adult iron+folic acid tablet given in pregnancy: 1 tab/ day x 100 days* Kids iron+folic acid tablet given: 1 tab/day x 100 days per year- 0 to 5 years of age.Iron and Folic acid tablet content IronFolic acidAdult tab100 mg500 megKids tab (l/5th)20 mg100 meg